Which of the following is the primary function of chaperones?
1. Protein folding
2. Protein synthesis
3. Protein degradation
4. Protein denaturation

Correct answer: 1. Protein folding

Explanation: Chaperones attach to nascent polypeptide chains and prevent wrong foldings so that folding is allowed only in the correct direction. They help in the assembly of tertiary and quaternary structure of protein. They are not part of mature protein. They have ATPase activity. Ref: Vasudevan Biochemistry, 3rd Edition, Page 361